In bacterial endophthalmitis systemic steroids should be
1. Started immediately
2. Started after 12-24 hours of intensive antibiotic therapy
3. Deferred
4. Given after 7 days of intensive antibiotic therapy

Correct answer: 2. Started after 12-24 hours of intensive antibiotic therapy

Explanation: Ans. Started after 12-24 hours of intensive antibiotic therapy